Which of the following doesn't present with bleeding per rectum?
1. Ca rectum
2. Sigmoid volvulus
3. Inflammation of Meckel's diverticulum
4. Enteric fever

Correct answer: 2. Sigmoid volvulus

Explanation: Sigmoid volvulus presents with features of lower intestinal obstruction not bleeding per rectum. Volvulus refers to torsion of a segment of the alimentary tract, which often leads to bowel obstruction. The most common sites of volvulus are the sigmoid colon and cecum.